A brief 30-point questionnaire test is done for
1. Peabody Individual Achievement Test
2. Mini-mental state examination
3. Stanford-Binet Test
4. Wide-Range Achievement Test

Correct answer: 2. Mini-mental state examination

Explanation: (B) Mini-mental state examination # Mini-Mental State Examination (MMSE) or Folstein test is a brief 30-point questionnaire test that is used to screen for cognitive impairment. It is commonly used in medicine to screen for dementia. It is also used to estimate the severity of cognitive impairment at a given point in time and to follow the course of cognitive changes in an individual over time, thus making it an effective way to document an individual's response to treatment.CategoryPossible points DescriptionOrientation to time 5 From broadest to most narrow. Orientation to time has been correlated with future decline.Orientation to place 5From broadest to most narrow. This is sometimes narrowed down to streets, and sometimes to floor.Registration 3Repeating named promptsAttention and calculation 5Serial sevens, or spelling "world" backwards. It has been suggested that serial sevens may be more appropriate in a population where English is not the first language.Recall 3Registration recallLanguage 2Name a pencil and a watchRepetition 1Speaking back a phraseComplex commands 6 Varies.Can involve drawing figure shown.# Interpretation: Any score greater than or equal to 25 points (out of 30) is effectively normal (intact). Below this, scores can indicate severe (=9 points), moderate (10-20 points) or mild (21-24 points). Raw score may also need to be corrected for educational attainment and age. Low to very low scores correlate closely with the presence of Dementia, although other mental disorders can also lead to abnormal findings on MMSE testing.